The most important cause for marginal failure of amalgam restoration is:
1. Increased creep
2. Decreased strength
3. Tarnish and corrosion
4. Delayed setting of the material

Correct answer: 1. Increased creep